Cardiac index ratio is determined by:
1. CO & surface area
2. SV & surface area
3. Surface area only
4. Peripheral resistance

Correct answer: 1. CO & surface area

Explanation: A i.e. CO & surface area